Which of the following is not a clinical sign associated with mitral stenosis?
1. Malar flush
2. Atrial fibrillation
3. Pan-systolic murmur which radiates to axilla
4. Tapping, undisplaced apex beat

Correct answer: 3. Pan-systolic murmur which radiates to axilla

Explanation: Malar flush, atrial fibrillation, and a tapping apex beat which occurs secondary to pulmonary hypertension, are all clinical signs associated with mitral stenosis. On auscultation of the precordium, a mid-
diastolic murmur (±opening snap, representing a mobile valve) is heard rather than a pan-systolic murmur which is
usually heard in mitral regurgitation, tricuspid regurgitation and ventricular septal defects.